Which is a 'Soft steroid' used in bronchial asthma?
1. Budesonide
2. Dexamethasone
3. Ciclesonide
4. Flunisolide

Correct answer: 3. Ciclesonide

Explanation: Ans. is 'c' i.e., Ciclesonide "A soft inhaled coicosteroide has sufficient antinflammatory effect at the airway and lung target, but during its systemic uptake and distribution it is inactived by further metabolic routes, in addition to hepatic metabolism". So soft steroids have improved topical selectivity for airways and lung with minimum systemic effects --> Soft corticosteroids have high topical : systemic activity ratio. "Ciclesonide and loteprednol etabonate are examples of soft steroids that are designed for delivery near to their site of action to exert their effect, and then undergo metabolism to inactive metabolites". -- Veterinary pharmacology & therapeutics Ciclesonide is used in bronchial asthma & COPD. It is a prodrug that is cleaved by esterase in the bronchial epithelium to release active moiety. o Loteprednol etabonate is used for ophthalmic disorders.